Pancytopenia with Cellular marrow is seen in all except :
1. Megaloblastic Anemia
2. Myelodysplasia
3. PNH
4. G6PD Deficiency

Correct answer: 4. G6PD Deficiency

Explanation: Answer is D (G6PD deficiency) PNH, megaloblastic anemia, and Myelodysplasia may all present with pancytopenia and cellular marrow. G6PD deficiency is not associated with Pancytopenia and cellular marrow.